Positive shick’s test indicates that person is :
1. Immune to diphtheria
2. Hypersensitive to diptheria
3. Susceptible to diptheria
4. Carrier of diphtheria

Correct answer: 3. Susceptible to diptheria

Explanation: Shick’s test

Intradermal test which provide information regarding :

a. Immune status, b. Hypersensitivity & susceptibility to diptheria toxin before giving active immunization.

 In one arm toxin is injected (test arm) and in other arm heat inactivated toxin is injected (control arm).